An example for a bizarre delusion:
1. Delusion of infidelity (My wife has affair with another person)
2. Delusion of persecution (May brain is controlled by microchip)
3. Delusion of grandiosity (I am the greatest person in the world)
4. Delusion of reference (I am being prosecuted often)

Correct answer: 2. Delusion of persecution (May brain is controlled by microchip)

Explanation: Bizarre delusions - False belief that is patently absurd or fantastic (e.g., invaders from space have implanted electrodes in a person's brain). Common in schizophrenia. Non bizarre -content is usually within the range of possibility